Rind sign is seen:
1. Marfan syndrome.
2. Osteopetrosis.
3. Fibrous dysplasia.
4. All of the above.

Correct answer: 3. Fibrous dysplasia.

Explanation: Radiologically the radiolucent lesions in fibrous dysplasia are surrounded by a thick sclerotic border and this is known as rind sign.